Metastasis to liver is UNCOMMON with malignancy of:
1. Colon
2. Lung
3. Breast
4. Prostate

Correct answer: 4. Prostate

Explanation: Ans. D i.e. ProstateAlthough the most common primary sources producing hepatic metastases are those of the colon, breast, lung, and pancreas, any cancer in any site of the body may spread to the liver, including leukemias, melanomas, and lymphomas